Pernicious anemia occur due to
1. Failure of secretion of Vit B12
2. Failure of secretion of intrinsic factor
3. Failure of absorption of intrinsic factor
4. Folate deficiency

Correct answer: 2. Failure of secretion of intrinsic factor